Which of the following is an example of irreversible carbamate?
1. Ambenonium
2. Galantamine
3. Propoxur
4. Rivastigmine

Correct answer: 3. Propoxur

Explanation: Ans. is 'c' i.e., Propoxur AnticholinesterasesReversibleIrreversibleCarbamateAcridineOrgnophosphatesCarbamates* Physostigmine* Neostigmine* Pyridostigmine* Edrephonium* Ambenonium* Galantamine* Donepezil & rivastigmine* Tacrine* Echothiophate* Dyflos (Disfluorophosphate)* Parathion, malathion* Diazinon* Carbaryl* Propoxur